A 33-year-old man presented with a slowly progressive swelling in the middle third of his right tibia. X-ray examination revealed multiple sharply demarcated radiolucent lesions separated by areas of dense and sclerotic bone. Microscopic examination of a biopsy specimen revealed island of epithelial cells in a fibrous stroma. Which of the following is the most probable diagnosis?
1. Adamantinoma
2. Osteofibrous dysplasia
3. Osteosarcoma
4. Fibrous cortical defect

Correct answer: 1. Adamantinoma

Explanation: Ans. Adamantinoma